Gene components of HLA class I includes -
1. A, B, C
2. DR
3. DQ
4. DP

Correct answer: 1. A, B, C

Explanation: HLAs corresponding to MHC class I (A, B, and C) present peptides from inside the cell. Reff: Ananthanarayanan & Panikers textbook of microbiology 9th edition pg:140